A patient has absent knee caps and nail abnormalities as shown. Which kidney lesion is common with these patients?
1. FSGS
2. Alport syndrome
3. MPGN
4. MGN

Correct answer: 1. FSGS

Explanation: The above shown image is of ''Nail patella syndrome'' Patients having nail-patella syndrome develop : Iliac horns on the pelvis Dysplasia of dorsal limbs (involves patella, elbows, and nails) It is associated with glaucoma, and abnormalities of the GBM & podocytes, which leads to hematuria, proteinuria, and FSGS.